The regulator proteins are
1. Troponin
2. Tropomyosine
3. Both
4. None

Correct answer: 3. Both

Explanation: Both troponin and tropomyosine are the regulator proteins for muscle contraction Ref:Guyton and Hall textbook of medical physiology 12th edition ,pag number:86,87